Fetal growth is maximally affected by ____________
1. GH
2. Insulin
3. Cortisol
4. Thyroxin

Correct answer: 2. Insulin

Explanation: Fetal growth is affected by Fetal hormones Fetal growth factors (IGF1 &2) Placental factors Maternal factors Amongst the foetal hormones, thyroxine and insulin have role in tissue accretion and differentiation in foetus. Growth hormone levels are high but are not known to have any influence on the foetal growth. Ref- Ghai , 9th edition , Chap 2.